Who is the founder of school of psychoanalysis and psychotherapy is after the name of -
1. Bleuler
2. Freud
3. Kraeplin
4. Melanie ldien

Correct answer: 2. Freud